Village Health Guide measures the state of malnutrition in an under 5 child by using-
1. Mid arm circumference
2. Weight for age
3. Skin fold thickness
4. Height for age

Correct answer: 1. Mid arm circumference

Explanation: Ans. is 'a' i.e., Mid Arm Circumference Midarm circumference is an age independent, easy, measure of the state of malnutrition, for children between the age group of 1-5 years. A circumference less than 12.5 cm is suggestive of moderate to severe malnutrition. o The use of Shakir's Tape has further simplified assessment of midarm circumference at the village level. This tape has shading in the three different colours, which indicate different levels nutrition o (M.A.0 = Mid arm circumference) Red shading signifies M.A.0 < 12.5 and is an index of malnutrition Yellow shading signifies M.A.0 = 12.5 to 13.5 and sets forth a warning Green shading signifies M.A.0 > 13.5 and is indicative of adequate nutrition.